Which of the following drugs is deposited in the muscles ?
1. Verapamil
2. Digoxin
3. Adenosine
4. Phenytoin

Correct answer: 2. Digoxin